Circumduction test is used for
1. Anterior shoulder instability
2. Posterior shoulder instability
3. Inferior shoulder instability
4. Either of above

Correct answer: 2. Posterior shoulder instability

Explanation: Ref : essential orthopaedic maheshwari 9th ed